Powdered gold is marketed as:
1. William's E-Z gold
2. Morgan's E-Z gold
3. Robert's E-Z gold
4. Taggart's E-Z gold

Correct answer: 1. William's E-Z gold

Explanation: Powdered gold is made by a combination of chemical precipitation and atomization, with an average particle size of 15 mm.
The atomized particles are mixed together in wax, cut into pieces, and wrapped in No. 4 or No. 3 foil. Several sizes of these pellets are available. This product is marketed as William's E-Z Gold (Ivoclar-Williams, Amherst, NY).

​Sturdevant's Art and Science of Operative Dentistry. Edition 6. Page: e-158